Horseshoe kidney ascent is prevented by:
1. Superior mesenteric artery
2. Superior mesenteric vein
3. Inferior mesenteric artery
4. Inferior mesenteric vein

Correct answer: 3. Inferior mesenteric artery

Explanation: Ascent of horseshoe kidney remains incomplete due to Inferior Mesentric Artery prevents further migration of kidney . Isthmus usually located adjacent to L3-L4 vertebrae , just below the origin of IMA from abdominal aorta .